Bullet that leaves a visible mark in its flight so that person can see the path is:
1. Tandem bullet
2. Tracer bullet
3. Dum-dum bullet
4. Incendiary bullet

Correct answer: 2. Tracer bullet

Explanation: Ans. Tracer bullet